What is glomerular filtration rate?
1. 100 ml/min
2. 125 ml/min
3. 150 ml/min
4. 175 ml/ min

Correct answer: 2. 125 ml/min

Explanation: Ans. B: 125 ml/minThe GFR in an average-sized normal man is approximately 125 ml./min.Its magnitude correlates fairly well with surface area, but values in women are 10% lower than those in men even after correction for surface area. A rate of 125 mL/ min is 7.5 L/h, or 180 L/d, whereas the normal urine volume is about 1 L/d. Thus, 99% or more of the filtrate is normally reabsorbed. At the rate of 125 mL/ min, the kidneys filter in 1 day an amount of fluid equal to 4 times the total body water, 15 times the ECF volume and 60 times the plasma volume.